Toluidine blue staining is used for identification of?
1. Mast cell
2. Fibroblast
3. Melanocyte
4. Macrophages

Correct answer: 1. Mast cell

Explanation: Mast cell Located in blood vessel and sub epithelial tissues Mast cells contain granules which contain proteoglycans. Granules stain positive with metachromatic stains such as:- Giemsa Toluidine blue